Favus is type of:
1. Tinea capitis
2. Alopecia areata
3. Pityriasis rosea
4. Non Cicatrizing alopecia

Correct answer: 1. Tinea capitis

Explanation: Kerion, us, black dot, grey patch are all type of Tinea capitis. Tinea capitis broadly divided into - Inflammatory(kerion, us) causing scarring/cicatrizial alopecia or Non inflammatory( black dot , grey patch) causing non scarring/Non cicatrizing alopecia